All the following drugs action pseudomonas infection EXCEPT
1. Carbenicilline
2. Azlocilline
3. Peperacilline
4. Azithromycin

Correct answer: 4. Azithromycin

Explanation: (Azithromycin) (730-KDT 6th)Drugs which acts on Pseudomonas* Carbenicilline* Cefoperazone* Tobramycin* Acetic acid* Ticarcilline* Aztreonam* Sisomicin* Silver sulphadiazine* Azlacilline* Imipenem* Amikacin* Tetracyclines* Mezlocilline* Cefotaxime* Nitilmicin* Cefepime* Peperacilline* Ciprofloxacine* Gentamicin * Moxalactam* Norfloxacin* Polymyxin -B * Ceptazidime* Ofloxacin* Mafenide * Pefloxacin Azithromycin - It is more active than other macrolide against H. influenzae* Usefully active against a number of important gram negative organisms It is not active against erythromycin resistant bacteria